Strawberry vagina is seen in:
1. Candida albicans
2. H. vaginalis
3. Syphilis
4. Trichomonas vaginalis

Correct answer: 4. Trichomonas vaginalis

Explanation: Strawberry vagina or angry-looking vagina is seen in case of Trichomonas infection.